Pacemaker potential occurs due to
1. Opening of transient, rapid T-type Ca2+ channel
2. Opening of K+ channel
3. Closure of Ca2+ channel
4. Closure of funny Na+  channel

Correct answer: 1. Opening of transient, rapid T-type Ca2+ channel

Explanation: Pacemaker potential occurs due to

Opening of slow type funny Na+ channel
Opening of transient, rapid T-type Ca2+ channel
Early closure of K+ channel